The stability of the ankle joint is maintained by all of the following, except -
1. Plantar calcaneonavicular (spring) ligament
2. Deltoid ligament
3. Lateral ligament
4. Shape of the superior talar articular surface

Correct answer: 1. Plantar calcaneonavicular (spring) ligament

Explanation: Calcaneonavicular ligament or spring ligament is a powerful ligament attahced posteriorly to the calcaneum and anteriorly to the navicular bone. So it is obvious that it will not participate in the formation of ankle joint.